All are the advantages of Winged clamps in Rubber dam except
1. Good stability
2. Simultaneous placement of dam , clamp and frame
3. Easy determination of MC and WL radiographs
4. Provides extra bucco-lingual separation

Correct answer: 3. Easy determination of MC and WL radiographs